Survival time of platelet is approximately:
1. 10 hours
2. 10 days
3. 10 weeks
4. 100 days

Correct answer: 2. 10 days